Main function of superior oblique is:
1. Adduction
2. Elevation
3. Extortion
4. Intorsion

Correct answer: 4. Intorsion

Explanation: Superior oblique muscle/obliquus oculi superiorIt is a fusiform muscle originating in the upper, medial side of the orbit which abducts, depresses and internally rotates the eye.It is the only extraocular muscle innervated by the trochlear nerve (the fourth cranial nerve).